Ankyloblepharon is:
1. Fusion of bulbar conjunctiva with palpebral conjunctiva
2. Fusion of upper and lower palpebral eyelid margines
3. Fusion of bulbar conjunctiva with cornea
4. Fusion of palpebral conjunctiva with cornea

Correct answer: 2. Fusion of upper and lower palpebral eyelid margines

Explanation: ANKYLOBLEPHARON & SYMBLEPHARON: *Fusion of upper and lower eyelids margins : ankyloblepharon. *Most common cause: chemical & thermal injury, SJS, TEN, pterygium surgery Ankyloblepharon Symblepharon- adhesion b/w palpebral & bulbar conjunctiva, eyelids gets adherent to eyeball.